A pregnant woman is found to have excessive accumulation of amniotic fluid. Such polyhydramnios is likely to be associated with all of the following conditions, except:
1. Twin pregnancy
2. Anencephaly
3. Esophageal atresia
4. Bilateral renal agenesis

Correct answer: 4. Bilateral renal agenesis

Explanation: B/L Renal agenesis causes oligohydramnios Polyhydramnios: - Liqour more than 25 on the AFI or - Single deepest pocket > 8 cm Causes Diabetes Twin pregnancy Cleft lip/palate Duodenal atresia Esophageal atresia Neural tube defects Gastroschisis